31 years of female presents with complains of weight loss and palpitations. On examination, exophthalmos, tremors and a smooth goiter with bruit present. Pulse is irregularly irregular. Thyroid function tests would probably reveal:
1. Decreased T3, T4, TSH
2. Increased T4, normal T3, decreased TSH
3. Increased T4, Increased T3, decreased TSH
4. Increased T3, T4, TSH

Correct answer: 3. Increased T4, Increased T3, decreased TSH

Explanation: Ans. (c) Increased T4, Increased T3 and Decreased TSHRef: Schwartz Page 1529/ 10th edition* The history is of Thyrotoxicosis* In hyperthyroidism - T3 and T4 will be elevated and TSH will be decreased.